Which of the following types of mosquitos are now restricted to Andaman and Nicobar islands?
1. Anopheles Culicifacies
2. Anopheles Stephensi
3. Anopheles Fluviatilis
4. Anopheles Epiroticus

Correct answer: 4. Anopheles Epiroticus

Explanation: Some points about Anopheles species given in Park 21th edition 1) Anopheles Culicifacies - Vector in rural and peri urban areas 2) Anopheles Stephensi - Vector in urban and industrial areas 3) Anopheles Fluviatilis - vector in hilly areas and forests of east 4) Anopheles Minimus - Vector in foot hills of North-Eastern states 5) Anopheles Dirus - Vector in forests of north east 6) Anopheles Epiroticus - Vector in Andaman and Nicobar Islands Ref: Park, Edition 21, Page 232.